False about a firearm Exit wound is
1. Everted edges
2. Abrasion collar absent
3. Sharply defined outwardly split edges
4. Lead ring may be present

Correct answer: 4. Lead ring may be present

Explanation: Grease or dirt ring may be present inner to or interwoven in the substance of abrasion collar in case of entry wounds , which may be demonstrable on micro-chemical or other tests in the laboratory. Not seen in exit wound Ref : Krishnan vij Textbook of Forensic medicine and Toxicology 5th edtion ; pg no - 249